One of the following is not true about melatonin:
1. Induces sleep
2. Used in treatment of jet lag syndrome
3. Is secreted by pituitary
4. Is a pineal hormone

Correct answer: 3. Is secreted by pituitary